Cryptococcus has predilection for -a) Lungsb) Meningesc) Liverd) GIT
1. ac
2. a
3. ab
4. bc

Correct answer: 3. ab